Major complication of cysto gastrostomy for pseudo pancreatic cyst is
1. Infection
2. Obstruction
3. Fistula
4. Haemorrhage

Correct answer: 4. Haemorrhage

Explanation: .Cysto-gastrostomy: At laparotomy, anterior wall andvposterior wall of the stomach is opened. Brownish fluidvis aspirated. The thick capsule of pseudocyst isbopened. All fluid with necrotic material are sucked.bFluid should be sent for cytology, culture and sensitivity and amylase estimation. Cyst wall always should be biopsied. Cyst cavity should be washed with normal saline after breaking septae. Pseudocapsule is anastomosed to posterior wall of the stomach--Jurasz operation. Complications of pseudocyst * Rupture--3% - into bowel or peritoneum * Infection, commonest--20% * Bleeding from the splenic vessels--7% * Cholangitis * Duodenal obstruction * Portal/splenic vein thrombosis and segmental portal hypertension * Cholestasis due to CBD block ref:SRB'S manual of surgery,ed 3,pg no 623